Konkan integrated development project is developed by
1. CARE
2. DANIDA
3. Rockefeller foundation
4. Ford foundation

Correct answer: 1. CARE

Explanation: CARE (Cooperative for Assistance and Relief Everywhere) is helping in following projects: Integrated nutrition and health project; Better health and nutrition project; Anaemia control project; Improving women's health project; Improved Healthcare for Adolescent Girls project; Child survival project; Improving women's reproductive health and family spacing project; Konkan Integrated Development project ..etcPark 23e pg: 924